Which of the following antiepileptic does not cause OCP failure
1. Phenytoin
2. Valproate
3. Carbamazepine
4. Phenobarbitone

Correct answer: 2. Valproate

Explanation: Because Sodium Valproate is an enzyme inhibitor, whereas other antiepileptics are enzyme inducers which can lead to OCP failure.